DUODENAL BLOWOUT' is -
1. Perforation of duodenal ulcer
2. Iatrogenic
3. Complication of partial gastrectomy
4. Due to trauma

Correct answer: 3. Complication of partial gastrectomy